Name the muscle group which opposes the buccinator mechanism:
1. Medical pterygoid
2. Lateral pterygoid
3. Masseter
4. Tongue muscles

Correct answer: 4. Tongue muscles